Cephalic index of 80-85 belongs to:
1. Mongolians
2. Indians
3. Europeans
4. Negroes

Correct answer: 1. Mongolians

Explanation: Ans. Mongolians